All of these are used in the treatment of visceral leishmaniasis except:
1. Sitamaquine
2. Paromomycin
3. Miltefosine
4. Hydroxychloroquine

Correct answer: 4. Hydroxychloroquine

Explanation: Drugs used in the treatment of leishmaniasis are: Antimonial: Sodium stibogluconate (SSG) Diamidine: Pentamidine Antifungal drugs: Amphotericin B (AMB) Ketoconazole (KTZ) Others: Miltefosine, Paromomycin Allopurinol ESSENTIALS OF PHARMACOLOGY Page no. 845